Simultaneous thrombosis of both the cavernous sinuses usually occurs in:
1. Diseases of the sphenoid sinuses
2. Septic wounds of the face
3. Pyogenic meningitis
4. Patients with cerebral abscess

Correct answer: 1. Diseases of the sphenoid sinuses

Explanation: Ans. Diseases of the sphenoid sinuses